In miliary TB the granulomas are of size :
1. 3-4mm
2. 1-2 mm
3. 0-1 mm
4. 4-5mm

Correct answer: 2. 1-2 mm

Explanation: Miliary TB is due to hematogenous spread of tubercle bacilli. The lesions are usually yellowish granulomas 1-2 mm in diameter that resemble millet seeds. Reference: Harrisons Principles of Internal Medicine, 18th Edition, Page 1349